Hatter's shakes are seen in which poisoning
1. Arsenic
2. Mercury
3. Copper
4. Lead

Correct answer: 2. Mercury

Explanation: Mercury Hatter's shakes are seen with chronic mercury poisoning Chronic mercury poisoning Also Ida hydrargyrism (Latin word for mercury is hydrargyrum, thus the symbol Hg "hydr" - meaning watery or runny & "argyros" - meaning silver i.e. liquid silver) Symptoms are salivation, metallic taste, inflammed gums, loosening of teeth & occasionally a blue-black line on the gums as with lead poisoning. Nephritis is a serious complication. Mercuria lentis - discolouration of the capsule of lens as observed through slit lamp is one of the early symptoms of chronic mercury poisoning. Tremors (sometimes called Danbury tremors) are moderately coarse & is interspersed by jerky movements. The advanced condition is k/a Hatter's or glass blower's shakes because they are common in persons working in gloss-blowing & hat industries. The most severe form is known as concussio mercurialis in which no activity is possible. Erethism is a peculiar disturbance of the personality characterised by shyness, irritability, tremors, loss of memory & insomnia. It is common in workers in mirror industry. Acrodynia or pink disease - characterised by generalised body rash, is an idiosyncratic hypersensitivity reaction particularly seen in chldren. It is caused by chronic mercury exposure in any form usually in children. Minimata disease - A type of organic mercurial poisoning due to eating of fish poisoned by mercury. Treatment of chronic mercury poisoning - Removal of exposure - Demulcents (soothing agents) - Saline purgatives - Oral hygine - Chelation therapy (D-penicillamine, BAL, DMPS, DMSA)